Mechanism of action of quinolones is?
1. DNA gyrase inhibitors
2. Bind to 30 s unit
3. Bind to bacterial cell membrane
4. Bind to tetrahydofolate reductase

Correct answer: 1. DNA gyrase inhibitors

Explanation: ANSWER: (A) DNA gyrase inhibitorsREF: Goodman G ill man s 11th ed p. 722The quinolone antibiotics target bacterial DNA gyrase and topoisomerase IV. For many gram positive bacteria, topoisomerase IV is the primary target. For many gram-negative bacteria, DNA gyrase is the primary quinolone target.